Neutrophilic leucocytosis is seen in all except
1. Sepsis
2. Myocardial infarction
3. Pyogenic osteomyelitis
4. Hay fever

Correct answer: 4. Hay fever

Explanation: Acute myocardial infarction ST-elevation (STEMI) is frequently associated with leukocytosis and relative increased in neutrophil count. It is believed that the peripheral leukocyte count have important prognostic implication in AMI. In patients with leukocytosis, the possibility of infection always exists, especially with neutrophilia and no prior documentation of leukocytosis. However, the risk of aggressive and overwhelming infection and sepsis is increased due to the paucity of neutrophils Background. Spinal infection may be defined as an infectious disease that affects the vertebral body, the intervertebral disk, or adjacent paraspinal tissue. It accounts for 2-7% of all musculoskeletal infections. Pyogenic vertebral osteomyelitis is the most commonly encountered form of vertebral infection Ref Davidson 23rd edition pg 225 , harriosns 203 p328